Treatment of acute hydramnios with respiratory depression -
1. Amniocentesis
2. Termination of pregnancy
3. Diuretics
4. Sedation

Correct answer: 1. Amniocentesis